Face to pubes delivery is possible with which cephalic presentation:
1. Mento-anterior
2. Mento-posterior
3. Occipito sacral
4. Brow presentation

Correct answer: 3. Occipito sacral

Explanation: Occipito sacral